Roots valves of deep tendon reflexes
1. Biceps jerk C5, C6
2. Supinator jerk C7
3. Triceps Jerk C8
4. Ankle jerk L4, L5

Correct answer: 1. Biceps jerk C5, C6

Explanation: Deep tendon reflex also usually refers to this sense. A deep tendon reflex is often associated with muscle stretching. Tendon reflex tests are used to determine the integrity of the spinal cord and peripheral nervous system, and they can be used to determine the presence of a neuromuscular disease. Ref: guyton and hall textbook of medical physiology 12 edition page number: 775,776,777